Non-noxious stimuli perceived as pain is termed as:
1. Allodynia
2. Hyperalgesia
3. Hyperesthesia
4. Hyperpathia

Correct answer: 1. Allodynia

Explanation: Answer is A (Allodynia) : Perception of a non painful stimulus (non-noxious stimulus) as 'pain' is termed as `allodynia'. Terminology Sensory Disturbance Allodynia Situation in which a non painful (non-noxious) stimulus once perceived is experienced as painful.( example is elicitation of a painful sensation by application of a vibrating tuning fork) Hyperalgesia Situation in which a mildly painful (mildly noxious) stimulus once perceived is experienced as severely painful, often excruciating Hyperesthesia Increased sensitivity or pain in response to touch Hyperpathia Broad term that encompasses all above phenomenon, namely, Allodynia, Hyperalgesia and Hyperesthesia